In a cervix low grade squamous intraepithelial leison (LSIL) in Bethseda system includes:
1. CIN I
2. CIN II
3. CIN III
4. Squamous metaplasia

Correct answer: 1. CIN I

Explanation: In Bethesda system:
LSIL = CIN 1
HSIL = CIN 2, CIN 3/Ca in situ